All the following syndromes are associated with cardiac lesions except
1. Turner syndrome
2. Downs syndrome
3. Rasmussen syndrome
4. CATCH 22

Correct answer: 3. Rasmussen syndrome

Explanation: Rasmussen syndrome is not associated with any cardiac lesions. Common genetic conditions linked to occurrence of congenital heart disease Syndrome Genetic mutation; inheritance Cardiac lesions Other features CATCH 22 Microdeletion in 22q; autosomal dominant (AD) Interrupted aortic arch, TOF, VSD, persistent truncus arteriosus, double outlet right ventricle Cleft palate, hypocalcemia, thymic hypoplasia, nasal regurgitation, gastroesophageal reflux, learning disability Williams Beuren Microdeletion in elastin (7qll.23); AD Supravalvar aortic stenosis, pulmonary stenosis, hypertension Elfin facies, intellectual disability, hypersocial personality, short stature, hypercalcemia Down Trisomy 21; Robertsonian translocation or mosaicism AV canal defect, perimembranous VSD, TOF Characteristic fades, clinodactyly, intellectual disability; hypotonia Turner 45XO or 46/45XO; mosaic Bicuspid aortic valve, coarctation Short stature, gonadal dysgenesis lymphedema Noonan PTPNll; AD Pulmonic stenosis, hypertrophic cardiomyopathy, ASD Short stature, dysmorphic fades, webbed neck, developmental delay, cryptorchidism VATER association Sporadic VSD, TOF Vertebral, renal and limb defects, anal atresia, tracheoesophageal fistula Holt Oram TBX5; AD Ostium Secundum ASD; VSD Radial ray anomalies CHARGE association CHD7; often de novo Branch pulmonary artery stenosis, TOF, VSD Coloboma, growth failure, choanal atresia, genital hypoplasia, ear anomalies Alagille JAG1; most cases are de novo Pulmonary stenosis, TOF Dysmorphic fades, cholestatic jaundice, butterfly vertebrae, renal anomalies Reference: Essential Paediatrics; O.P. Ghai; Page no: 401